In national immunization shedule all are included except
1. TT
2. OPV
3. Hepatitis A
4. Measles

Correct answer: 3. Hepatitis A

Explanation: Ref to image for national immunization schedule Hepatitis A Vaccine Inactivated Vaccine Live-attenuated Vaccine Dose, route 0.5 ml (720U) ; intramuscular 0.5 ml ; Intramuscular Site Deltoid Deltoid National program Not included Not included WHO; IAP >1 year ; Two doses 6 months apart >1 year ; One dose of H2 strain Catch up 1-10 years: As above >10 years : First confirm seronegative; Adult dose (1440 U;1 ml) for >13 year old As for inactivated Vaccine Adverse reactions Local pain, headache, malaise Soreness, erythema, fever, malaise Contraindications Anaphylaxis after previous dose Hypersensitivity to egg protein; immunodeficiency, chemotherapy or radiotherapy Storage 2-8degC; protect from light Use within 30 minutes of reconstitution 2-8degC; do not freeze Use within 30 minutes of reconstitution Ref: Essential pediatrics, OP. Ghai Pgno : 199